A 20-year-old woman complains of double vision, fainting spells, tingling of the fingers of her left hand and numbness of the fingers of her right hand. Physical examination reveals absence of pulse in her right arm. Laboratory tests show elevated erythrocyte sedimentation rate and thrombocytosis. An aortogram demonstrates narrowing and occlusion of branching arteries, including the right subclavian artery. The patient subsequently develops heart failure and dies of massive pulmonary edema. At autopsy, the aorta has a thickened wall and shows vasculitis and fragmentation of elastic fibers. Which of the following is the most likely diagnosis?
1. Buerger disease
2. Churg-Strauss disease
3. Kawasaki disease
4. Takayasu arteritis

Correct answer: 4. Takayasu arteritis

Explanation: Takayasu arteritis is an inflammatory disorder of large arteries, classically the aortic arch and its major branches. On gross examination, the aorta is thickened and the intima exhibits focal, raised plaques. The branches of the aorta often display localized stenosis or occlusion, which interferes with blood flow and accounts for the symptoms of "pulseless" disease. Ischemic cerebrovascular episodes in a young woman and a differential between the blood pressure in the left and the right arm suggest the diagnosis of Takayasu disease. More than 90% of patients are women under 30 years of age. The other choices are diseases of arteries that have different clinical and pathologic manifestations.